18-20wks Level II scan is done for?
1. Diagnosis of fetal anomaly
2. Lung maturity
3. Sex determination
4. AFI

Correct answer: 1. Diagnosis of fetal anomaly